Ocular lesions of gout include all of the following except:
1. Episcleritis
2. Scleritis
3. Keratitis
4. Uveitis

Correct answer: 3. Keratitis

Explanation: Ans. Keratitis